Central retinal artery occlusion is known to be associated with:
1. Panophthalmitis
2. Diabetic retinopathy
3. CMV retinitis
4. Orbital mucormycosis.

Correct answer: 4. Orbital mucormycosis.

Explanation: Ans. Orbital mucormycosis.